TRUE regarding upper motor neuron VIIth nerve paralysis is:
1. Ipsilateral upper face paresis
2. Ipsilateral lower face paresis
3. Contralateral upper face paresis
4. Contralateral lower face paresis

Correct answer: 4. Contralateral lower face paresis

Explanation: Answer is D (Contralateral lower face paresis): Upper motor neuron VII nerve palsy causes contralateral facial muscle paresis that is worse in the lower facial muscles. With UMN lesion the forehead is relatively spared. This is a unique feature seen only with facial nerve. The part of facial nerve supplying the upper half of face has bilateral cortical representation and thus in a unilateral UMN lesion the upper half of face escapes paresis.